Components of Innate immunity that are active against viral cells includes -
1. NK cells
2. Cytotoxic cells
3. B-cell
4. Memory B cell

Correct answer: 1. NK cells

Explanation: A class of lymphocytes called natural killer cells or NK cells are important in nonspecific defense against viral infections and tumors. They selectively kill virus-infected cells and tumors cells. - they are activated by interferons. Reference : Anathanarayan & paniker's 9th edition, pg no:81